Which one of the following is an established clinical use of morphine?
1. Management of generalized anxiety disorders
2. Relief of pain associated with biliary colic
3. Pulmonary congestion
4. Treatment of cough associated with use of ACE inhibitors

Correct answer: 3. Pulmonary congestion

Explanation: Morphine continues to be used in pulmonary congestion, in part because of its sedative (calming) and analgesic effects and also because of its vasodilating actions, which result in favorable hemodynamics in terms of cardiac and pulmonary function. Similarly, morphine is of value in an acute MI, especially its ability to relieve pain. However, morphine is not suitable for pain of biliary origin because it causes contraction of the sphincters of Oddi, leading to spasms. None of the other proposed indications are appropriate.